Initial amino acid in prokaryotic protein synthesis ?
1. Arginine
2. Methionine
3. Formyl-methionine
4. Alanine

Correct answer: 3. Formyl-methionine

Explanation: Ans. is 'c' i.e., Formyl-methionine